Skeletal frame work of a cell is maintained by:
1. Nucleus
2. Microtubules
3. Ribosomes
4. Mitochondria

Correct answer: 2. Microtubules

Explanation: Ans. (b) Microtubules(Ref: Ganong, 25th ed/p.39)Microtubules provide structural support that can determine the shape of the cell and resist forces that tend to deform it